A young man presents with HBsAg positive anti HBeIgM positive, HBeAg negative and normal levels of AST and ALT. He is asymptomatic. What is the next line of management.
1. Wait and Watch
2. Lamivudin
3. Immunoglobulin
4. Liver Transplant

Correct answer: 1. Wait and Watch